Fogarty's catheter is used for
1. Removal of embolus from blood vessels
2. Parenteral hyperalimentation
3. Drainage of urinary bladder
4. Ureteric catheterisation

Correct answer: 1. Removal of embolus from blood vessels

Explanation: Fogarty's catheter is used for removal of embolus from the blood vessels.